Suicidal cut wound is characterised by the following:
1. The direction of wound
2. Over accessible parts of body
3. Uses small weapons
4. All of the above

Correct answer: 4. All of the above

Explanation: All of the above